Waterhouse friederichsen syndrome is caused by
1. Neisseria gonorrheae
2. Neisseria meningitidis
3. Chlamydia trachomatis
4. Lymphogranuloma venerum

Correct answer: 2. Neisseria meningitidis

Explanation: Waterhouse friederichsen (WF) syndrome is fulminant meningococcemia characterized by shock, disseminated intravascular coagulation, petechial rash and multisystem failure due to the lipo-oligosaccharide mediated damage of the vascular endothelium. it is caused by N.meningitidis